Alpha-wave in EEG is seen in
1. Sleep
2. REM sleep
3. Awake state
4. Mental work

Correct answer: 3. Awake state

Explanation: Stages of sleep and rhythm
-        Beta rhythm- Alert, awake, maximum concentration.
-        Alpha rhythm- Eyes closed, mind wandering, less attentiveness
-        Theta rhythm- Stage 1 NREM
-        Sleep spindles, K complex- Stage 2 NREM
-        Delta rhythm- Deep sleep (Stage 3 & 4 NREM)
-        Beta Rhythm and occasional alpha rhythm- REM
In alpha, rhythm patient is awake, not asleep.